Reverse Transcriptase is -
1. DNA polymerase
2. DNA dependant RNA polymerase
3. RNA dependant DNA polymerase
4. None

Correct answer: 3. RNA dependant DNA polymerase

Explanation: Ans. is 'c' i.e. RNA dependent DNA polymerase The Characteristic biochemical feature of retroviruses is the presence of RNA dependent DNA polymerase (reverse transcriptase)o Wrhen the virus infects a cell, the viral RNA is transcribed by reverse transcriptase, first into single stranded DNA and then to double stranded DNA